Perthe's disease is Osteochondritis of the epiphysis of the:
1. Capitulum
2. Lunate
3. Femoral head
4. Calacaneal tuberosity

Correct answer: 3. Femoral head

Explanation: Ans. C i.e. Femoral head Osteochondritis Perthes disease: - Osteochondritis of femoral head - Adduction is unaffected - IOC for Perthes disease: MRI Osteochondritis of lunate: Kienbock's disease Osteochondritis of tibial tubercle: OschGood's Schlatter's disease Osteochondritis of calcaneum: Sever's disease